Which of the following not causes lens dislocation:
1. Ehlers-Danlos syndrome
2. Marfan's syndrome
3. Sulphite oxidase deficiency
4. Diabetes mellitus

Correct answer: 4. Diabetes mellitus

Explanation: D. Diabetes mellitusEctopia Lentis with Systemic Anomalies Khurana 6th/2l5-l61. Marfan's syndrome: In this condition lens is displaced upwards and temporally (bilaterally symmetrical)2. Homocystinuria: In it the lens is usually subluxated downwards and nasally.3. Weil-Marchesani syndrome: forward subluxation of lens which may cause pupil block glaucoma.4. Ehlers-Danlos syndrome. In it the ocular features are subluxation of lens and blue sclera.5. Hyperlysinaemia: It is an extremely rare condition occasionally associated with ectopialentis.6. Stickler syndrome. Ectopialentis is occasionally associated in this condition7. Sulphite oxidase deficiency: Ectopialentis is a universal ocular feature.(Parson 22nd/275): Causes of Ectopia lentisA. FamilialAutosomal dominant formAutosomal recessive form (associated with iris coloboma, aniridia, microspherophakia, ectopiapupillae)B. Other systemic diseasesMarfan, Ehlers-Danlos, Weil-Marchesani, Homocystinuria, Sulphite oxidase deficiency, HyperlysinaemiaC. Secondary to eye diseasesUveitis, hypermature cataract, pseudoexfoliation syndrome, ciliary body tumourD. Secondary to trauma(May or may not be associated with underlying defective zonules due to syphilis)